All of the following are indications of emergecy dialysis, Except:
1. Uremic encephalopathy
2. Persistent Hyperkalemia
3. Refractory volume overload
4. Azotemia

Correct answer: 4. Azotemia

Explanation: Answer is D (Azotemia): Azotemia (in the absence of Uremia) is only a relative indication for dialysis. Intractable Fluid Overload, Intractable Hyperkalemia and Uremic Encephalopathy are life threatening manifestations of Renal Failure that require Emergent Dialysis. Traditional Indications for Dialysis Absolute (Typically Life Threatening) Uironic Manifestations Uremic Encephalopathy or Neuropathy Uremic Serositis (Uremic Pericarditis) Intractable Fluid Overload refractory to diuretics Intractable Hyperkalemia refractory to medical therapy Persistent Metabolic Acidosis refractory to medical therapy Persistent Hypercalcemia, Hypoculcemia, Relative (Typically Non- Life Threatening) Hvperphosphatemia, Hypermagnesemia or Hyperuricemia refractory to medical therapy Severe and Persistent Nausea and Vomiting Significant Malnutrition and or weight loss Hypertension not responding/poorly responding to medications Bleeding exacerbated by Uremia